The colour of gingiva is due to
1. Capillaries
2. Thickness of epithelium
3. Thickness of keratinisation and pigmentation
4. All the above

Correct answer: 4. All the above